Testosterone production is mainly contributed by
1. Leydig cells
2. Seolie cells
3. Seminiferous tubules
4. Epididymis

Correct answer: 1. Leydig cells

Explanation: Testosterone- the principal male sex hormone (androgen) that is produced by Leydig's cells of the testes in response to luteinizing hormone secreted by the pituitary gland. It is also produced by the adrenal cortex in both males and females. Its chief function is to stimulate the development of the male reproductive organs, including the prostate, and the secondary sex characters, such as the beard. It encourages growth of bone and muscle and helps maintain muscle strength.Ref: Ganong's review of medical physiology; 24th edition; page no:-423